A patient, Harish came to the emergency after receiving penicillin injection. He was diagnosed to have anaphylactic shock. Which of the following is the only life saving measure to treat him ?
1. Intravenous hydrocortisone hemisuccinate
2. Intravenous adrenaline hydrochloride
3. Intramuscular adrenaline hydrochloride
4. Intravenous glucose saline

Correct answer: 3. Intramuscular adrenaline hydrochloride